Plasma membrane of cell is bounded to cytoskeleton by which of the following?
1. Spectrin
2. Ankyrin
3. Tubulin
4. Laminin

Correct answer: 2. Ankyrin

Explanation: In erythrocytes and most other cells ankyrin mediates the interaction between plasma membrane and cytoskeleton. Ankyrin also binds to the 100nm, rod shaped, antiparallel alpha beta heterodimers of spectrin and thus secures the cytoskeleton to the plasma membrane. Other membrane proteins with the same function are Cl-/HCO3- antiporter, sodium ion pumps and voltage dependent sodium ion channels. Ref: Basic Neurochemistry: Molecular, Cellular And Medical Aspects, Volume 1, page 29